The main form of iron carbide found in 18-8 steel:
1. Martensite
2. Ferrite
3. Austenite
4. Pearlite

Correct answer: 3. Austenite